Action which halts the progression of a disease in early stage -
1. Primordial prevention
2. Primary prevention
3. Secondary prevention
4. Tertiary prevention

Correct answer: 3. Secondary prevention

Explanation: Ans. is 'c' i.e., Secondary prevention Secondary prevention can be defined as "action which halts the progress of a disease at its incipient stage and prevents complications".